EBV action in nasopharynx is through?
1. CD 3
2. Cd 4
3. CD 8
4. CD 21

Correct answer: 4. CD 21

Explanation: Ans. is 'd' i.e., CD 21 Epstein - Barr Virus (EBV) Belongs to Herpes viruses family. Infection is most common in early childhood, with a second peak during late adolescence. Infectious mononucleosis (IM) is usually a disease of young adults. EBV is transmitted by saliva (oral secretions) of infected person. Intimate oral contact, as in kissing is the predominant mode of transmission causes kissing disease. The virus enter the pharyngeal epithelial cells and B cells through (CR 2 / or CD21) receptors. Memory B Cells are the reservoir of EBV.